Which of the following immunosuppressive agents acts selectivity by inhibiting helper T-Cells?
1. Cyclophosphamide
2. Azathioprine
3. Cyclosporine
4. Cystosine arabinoside

Correct answer: 3. Cyclosporine

Explanation: Calcineurin inhibitors (Specific T-cell inhibitors) Cyclosporine- It profoundly and selectively inhibits T lymphocyte proliferation, IL-2 and other cytokine production and response of inducer T cells to IL-l, without any effect on suppressor T-cells. Lymphocytes are arrested in G0 or G1 phase- used in various organ transplantations ESSENTIALS of MEDICAL PHARMACOLOGY SEVENTH EDITION -KD TRIPATHI Page:885,886